Ophthalmoplegic migraine is characterized by -
1. Transient diplopia
2. Headache with vomiting episodes
3. Headache with benign recurrent 3rd N. palsy
4. Headache with complete vision loss

Correct answer: 3. Headache with benign recurrent 3rd N. palsy